Totipotency of embryonic stem cell is due to that they?
1. Can differentiate into all the tissues of embryonic or extraembryonic cell types.
2. Can differentiate into cells derived from any of the three germ layers.
3. Can differentiate only into cells of a closely related family
4. Can differentiate only in to one cell type

Correct answer: 1. Can differentiate into all the tissues of embryonic or extraembryonic cell types.

Explanation: Ans. is 'a' i.e., Can differentiate into all the tissues of embryonic or extraembryonic cell types Stem cells base on their potency* Potency refers to ability of stem cells to differentiate into specialized (mature) cell type:-A. Totipotent stem cells - These cells are produced from fertilization of sperm and ovum and cells that are produced by first few division after fertilization are also totipotent. These cell can differentiate into all the tissues of embryonic or extra embryonic cell types.B. Pluripotent stem cells - These are descendants of totipotent stem cells and can differentiate into cells derived from any of the three germ layers.C. Multipotent stem cells - These cells can differentiate only into cells of a closely related family, e.g. hematopoietic stem cells differentiate into RBC, WBC, platelets but not into other types.D. Unipotent stem cells - Can differentiate only in to one cell type (e.g. muscle stem cell), but have property of self-renewal which distinguiches them from non-stem cells.